Sphingolipids are chiefly accumulated in:
1. CNS
2. Adipose tissue
3. Cardiac muscle
4. Skeletal muscles

Correct answer: 1. CNS

Explanation: (CNS): Ref: 11-RS, 110-NMS (307-8 U.S 3rd)SPHINGOLIPIDS: - They comprise another group of lipids found in biological membrane specially in the tissues of nervous system. There are three types of sphingolipids - sphingomyelin, cerebrosides, gangliosides about 6% of membrane lipids of grey matter cells in the brain and gangliosidesSPHINGOLIPIDOSISDiseaseLipid accumulatedPrimary organ affected1. Niemann-Pick diseaseSphingoymelinBrain, Liver, Spleen2. Gaucher's diseaseGlucocerebrosideBrain, Liver, Spleen3. Krabbe's diseaseGalactocerebrosideBrain4. Metachromic leukodystrophyb-Sulfagalactoserebrosidase ceramide trihexosideBrainKidney5. Fabry's disease6. Tay-Sach's diseaseGanglioside GM2Brain